Dalen fuchs nodule is a pathognomic feature of which of the following condition ?
1. Sympathetic opthalmitis
2. Sarcoidosis
3. Tuberculosis
4. Retinitis pigmentosa

Correct answer: 1. Sympathetic opthalmitis

Explanation: Dalen fuchs nodule refers tocollections of epithelial cells lying between Bruch membrane and the retinal pigment epithelium in sympathetic ophthalmitis.